40 year old patient was being operated for direct hernia. During surgery two sacs were seen. The diagnosis is?
1. Pantaloons hernia
2. Ritcher hernia
3. Spigelian hernia
4. Littre hernia

Correct answer: 1. Pantaloons hernia

Explanation: Ans. (a) Pantaloon HerniaRef: Long case Surgery by RRM* Pantaloon hernia is hernia which has two sacs- One direct and one indirect resembling a Pantaloon.